Reverse bevel is indicated for all of the following cast materials except:
1. Class I, II
2. Cast ceramics
3. Class III
4. Class IV

Correct answer: 2. Cast ceramics

Explanation: Reverse bevel is placed at the expense of the gingival ﬂoor, creating an internal dentinal plane inclining gingival - axially, locking the restoration and preventing proximal displacement. It always has a ﬂat dentinal transition between it and the proximal gingival level. 
It can only be used when the gingival ﬂoor has suﬃcient dimensions to accommodate it without decreasing the resistance form of the restoration (ﬂat portion of the gingival ﬂoor). Ideally, reverse bevels are prepared using gingival margin trimmers. 
This bevel is indicated for use with Class I, II and III cast materials and infrequently with Class IV. It is not used with cast ceramics.

​Operative dentistry Modern theory and practice M A Marzouk : Page no 319